Ligament resisting hyperextension of hip are all except:
1. Ischiofemoral ligament
2. Pubofemoral ligament
3. Iliofemoral ligament
4. Sacroiliac ligament

Correct answer: 4. Sacroiliac ligament

Explanation: Ans. D: Sacroiliac ligament When the knee is flexed, flexion is limited by the anterior surface of the thigh coming into contact with the anterior abdominal wall. When the knee is extended, flexion is limited by the tension of the hamstring group of muscles. Extension, which is the movement of the flexed thigh backward to the anatomic position, is limited by the tension of the iliofemoral, pubofemoral, and ischiofemoral ligaments. Abduction is limited by the tension of the pubofemoral ligament, and adduction is limited by contact with the opposite limb and by the tension in the ligament of the head of the femur. Lateral rotation is limited by the tension in the iliofemoral and pubofemoral ligaments, and medial rotation is limited by the ischiofemoral ligament. The following movements take place: Flexion is performed by the iliopsoas, rectus femoris, and sartorius and also by the adductor muscles. Extension (a backward movement of the flexed thigh) is performed by the gluteus maximus and the hamstring muscles. Abduction is performed by the gluteus medius and minimus, assisted by the sartorius, tensor fasciae latae and piriformis. Adduction is performed by the adductor longus and brevis and the adductor fibers of the adductor magnus. These muscles are assisted by the pectineus and the gracilis. Lateral rotation is performed by the piriformis, obturator internus and externus, superior and inferior gemelli, and quadratus femoris, assisted by the gluteus maximus.